In lower cervical spine injury which level is the commonest level to be involved?
1. C3-C4
2. C4-C5
3. C5-C6
4. C6-C7

Correct answer: 3. C5-C6

Explanation: *Lower cervical spine injury is the most commonly involved region in the cervical spine. It is most common at C5-C6 level. These injuries may cause severe damage to the cord and consequently paraplegia. Ref: Apley's 9th/e p.816